Peripheral 'Collarette of scales' is a feature of:
1. P. rosea
2. P.veriscolor
3. Lichen planus
4. Pityriasis rubra pilaris

Correct answer: 1. P. rosea

Explanation: Clinical features of Pityriasis rosea is the rash which consists of circular or oval pink macules with a 'collarette of scale' and is more prominent on the trunk than on the limbs. Ref: Kumar and Clark's Clinical Medicine by Parveen June Kumar, Michael L. Clark, Elsevier Saunders, 2005, Page 1335; Thieme Clinical Companions Dermatology By Wolfram Sterry, Walter Burgdorf, Ralf Paus, 2006, Pages 279-280